Which does not happen in Unilateral Renal Trauma ?
1. Hypertension
2. Uraemia
3. Clot formation
4. Perinephric haematoma

Correct answer: 2. Uraemia

Explanation: Ans. is 'b' i.e., Uraemia